A 37-year-old man is brought to the emergency department with a Neck injury on X ray film it is diagnosed as crushed C2 vertebrae. Which of the following structures would be intact after the accident?
1. Semispinalis cervicis muscle
2. Apical ligament
3. Alar ligament
4. Rectus capitis posterior minor

Correct answer: 4. Rectus capitis posterior minor

Explanation: The rectus capitis posterior minor remains intact because it is not associated with C2 vertebrae. It arises from the posterior tubercle of the (atlas) C1 and inserts on the occipital bone below the inferior nuchal line. Other structures are associated with C2.